In a seriously ill patient, addition of amino acids in the diet results in a positive nitrogen balance. The mechanism for this is:
1. Increased absorption of amino acids from the intestine
2. Enhanced rates of gluconeogenesis
3. Increased secretion of insulin
4. Increased Growth hormone secretion

Correct answer: 3. Increased secretion of insulin

Explanation: C i.e. Increased secretion of insulin- Glucose, mannose, aminoacids (such as leucine, arginine, others) and f3 ketoacids such as acetoacetate (derived fromfat catabolism) stimulate insulin secretin and have protein sparing effectQ.- Insulin has anabolic effect on metabolism. It decreases protein catabolism and fat catabolism for energy production and increases aminoacid uptake & protein synthesis (positive nitrogen balance)Q.